Commonest site for fibroid is :
1. Submucous
2. Intramural
3. Subserous
4. Cervical

Correct answer: 2. Intramural

Explanation: Intramural